Minor duodenal papilla is opening of -
1. Hepatic duct
2. Hepatopancreatic ampulla
3. Accessory pancreatic duct
4. Bile duct

Correct answer: 3. Accessory pancreatic duct

Explanation: Ans. is 'c' i.e., Accessory pancreatic duct o Second part of duodenum shows following papillae -Major duodenal papillaOpening of hepatopancreatic ampulla into duodenum.Minor duodenal papilla (Santorini's minor caruncle)Opening of accessorypancreatic duct into the duodenum.Also knowo Duct of Santorini - Accessory pancreatic duct.o Duct of Wirsung - Pancreatic duct.o Sphincter choledochus - Sphincter in the terminal part of bile duct just above its juction with pancreatic duct,o Sphincter pancreaticus -Sphincter in terminal part of pancreatic duct,o Sphincter ampullae (sphincter of oddi) - Sphincter surrounding hepatopancreatic ampulla.